Blood agar is -
1. Enriched media
2. Indicator media
3. Enrichment media
4. Selective media

Correct answer: 1. Enriched media

Explanation: Enriched Media - When a basal medium is added with additional nutrients such as blood, serum or egg, it is called enriched medium. They support the growth of fastidious bacteria, eg - Blood agar Chocolate agar Loeffler's serum slope Indicator media - Contains indicator that give specific colour / characteristic to growing organisms. eg - MacConkey agar - differentiates between LF & NLF Selective media - Medium with selective agent that inhibits unwanted bacteria , but favours the growth of species that is to be grown. eg - Thayer martin medium for Neisseria - PPLO medium for Mycoplasma Enrichment media - It is kind of liquid selective medium eg - Alkaline peptone water- for Vibrio - Selentine F. broth for Salmonella and Shigella